The distance between tympanic membrane and medial wall of middle ear at the level of center is -
1. 3mm
2. 4 mm
3. 6mm
4. 2 mm

Correct answer: 4. 2 mm